Method for waste disposal in small camps -
1. Burial
2. Tipping
3. Compositing
4. Manure pits

Correct answer: 1. Burial

Explanation: Ans. is 'a' i.e., Burial "Burial is suitable for small camps"__________ Park